The maximum life of the deciduous pulp including both prenatal and postnatal times of development
and the period of regression is approximately
1. 8.3 years
2. 9.6 years
3. 10.6 years
4. 12.6 years

Correct answer: 2. 9.6 years